Ophthalmoplegic migraine is characterized by
1. Transient diplopia
2. Headache with vomiting episodes
3. Headache with benign recurrent 3 rd N. palsy
4. Headache with complete vision loss

Correct answer: 3. Headache with benign recurrent 3 rd N. palsy

Explanation: Ophthalmoplegic migraine is a rare neurologic syndrome characterized by recurrent bouts of head pain and ophthalmoplegia. The third cranial nerve is most commonly affected, in which case mydriasis and ptosis can also be observed Ophthalmoplegic migraine is a rare neurologic syndrome characterized by recurrent bouts of head pain and ophthalmoplegia. The third cranial nerve is most commonly affected, in which case mydriasis and ptosis can also be observed. Most patients recover completely within days to weeks, but a minority are left with persistent neurologic deficits Ref Harrison20th edition pg 1234